In xerophthalmia classification X 2 stage is -
1. Bitots spots
2. Corneal xerosis
3. Corneal ulceration
4. Corneal scar

Correct answer: 2. Corneal xerosis

Explanation: Ans. is 'b' i.e., Corneal xerosis WHO classification (1982)o The new xerophthalmia classification (modification of original 1976 classification) is as follows :XN Night blindnessXIA Conjunctival xerosisX1B Bitot's spotsX2 Corneal xerosisX3A Comeal ulceration/keratomalacia affecting less than one-third comeal surface.X3B Comeal ulceration/keratomalacia affecting more than one-third comeal surface.XS Corneal scar due to xerophthalmia XF Xerophthalmic fundus.